Infective form of Ascaris is
1. Cyst
2. Egg
3. Trophozoite
4. Merozoite

Correct answer: 2. Egg

Explanation: Parasitic Infections Transmitted by OvaEnterobius vermicularis (pinworm)Ascaris lumbricoides (roundworm)Toxocara canis (visceral larva migrans)Trichuris trichiura (whipworm)Echinococcus granulosus/multilocularisTaenia solium (cysticercosis)All others are transmitted in larval stage Ref : Paniker's textbook of Medical Parasitology Pgno : 196-197